Skull of a male differs from that of a female by all of the following except:
1. Capacity greater than 1500 c.c
2. Muscular markings over occiput are less marked
3. Orbits square
4. Frontal eminence small

Correct answer: 2. Muscular markings over occiput are less marked

Explanation: B i.e. Muscular markings over occipit are less marked